Pseudofracture can be seen in the following conditions -
1. Hereditary hyperphosphatasia
2. Pagets disease
3. Fibrous dysplasia
4. All the above

Correct answer: 4. All the above

Explanation: Ans. is 'd' i.e., All the above * Milkman's fracture is also called pseudofracture, looser's zone or osteoid seams.Conditions where Milkman's fracture may be seen :* Ricketsl osteomalacia (most characteristic)* Fibrous dysplasia* Renal osteodystrophy* Hereditary hyperphosphatasia* Pagets disease* Idiopathic